All of the following are true for yellow fever EXCEPT
1. Caused by vector aedes
2. Incubation period of 3-6 days
3. One attack gives life long immunity
4. Validity of vaccination certification begins immediately after vaccination

Correct answer: 4. Validity of vaccination certification begins immediately after vaccination

Explanation: Ans. (d) Validity of vaccination certification begins immediately after vaccinationRef : K. Park 23rd ed. /121, 283